FSH and LH are both inhibited by
1. Cortisol
2. Aldosterone
3. Estrogen
4. Progesterone

Correct answer: 3. Estrogen

Explanation: FSH causes Oestrogen release and oestrogen inhibits FSH. LH stimulates both oestrogen and progesterone production. Before ovulation LH release is stimulated by oestrogen but after ovulation it is inhibited by both oestrogen and progesterone Ref: guyton and hall textbook of medical physiology 12 edition page number:636,637,638